Which one of the following specimen is not refrigerated prior to inoculation?
1. CSF
2. Plus
3. Urine
4. Sputum

Correct answer: 1. CSF

Explanation: unavoidable, CSF should NOT be refrigerated, since it is an excellent culture medium and fungi will continue to replicate at 25-30degC. Other body fluid specimens may be stored at 4degC overnight, if necessary before culturing. Ref ananthnarayana and panikers microbiology textbook 8/e p650